Following is true of Pyonephrosis except -
1. Commonly associated with Renal calculi
2. Always unilateral
3. Is a complication of Hydronephrosis
4. Follows acute pyelonephritis

Correct answer: 2. Always unilateral